Neoadjuvant Chemotherapy is used In all except
1. Esophageal carcinoma
2. Breast carcinoma
3. Thyroid carcinoma
4. Non small cell carcinoma of lung

Correct answer: 3. Thyroid carcinoma

Explanation: Thyroid carcinoma are extra ordinarily resistant to chemotherapy Neoadjuvant chemotherapy is admistration of chemotherapy before surgery or radiation therapy whereas adjuvant chemotherapy is used after surgery or radiation Refer CMDT 2010-/667